Golden period of eye donation -
1. 6 hours
2. 12 hours
3. 18 hours
4. 24 hours

Correct answer: 1. 6 hours

Explanation: The donor eyes should be removed as early aspossible (within 6 hours of death) and should bestored under sterile conditions. REF:Comprehensive ophthalmology,AK Khurana,4th edition,pg no.509.